Which of the following are non-spore forming anaerobic bacteria that assume major significance in disease processes -
1. Bacteroides fragilis
2. Fusobacterium nucleatum
3. Peptostreptococcus anaerobius
4. All

Correct answer: 4. All

Explanation: Ans. is 'd' i.e., All